While seeing a colour chart a colour blind male has decreased vision for red light colour which appear very light than that of other colours. Which of the following is the likely anomaly in him?
1. Protanomaly
2. Dutanomaly
3. Tritanomaly
4. Butanomaly

Correct answer: 1. Protanomaly

Explanation: (A) Protanomaly > Prefixes "Prot = red, Deuter = green & Tri = blue refer to defects cone system, respectively Suffixes anomaly = colour weakness; anopia = colour blindness> Individuals with normal colour vision and those with Protanomaly (red colour weakness), deuteranomaly (green colour weakness), and tritanomaly (blue colour weakness) are called Trichomates --i.e. they have all three cones, system but one is weak.> Dichromates: only two cone system present, E.g. Protanopia = red cone absent; Deuteranopia = green cone absent Tritanopia = Blue cone absent.